Circinate retinopathy is seen in
1. Diabetic Retinopathy
2. Hypertensive Retinopathy
3. Best Disease
4. Stargardt's Disease

Correct answer: 1. Diabetic Retinopathy

Explanation: Answer- A. Diabetic RetinopathyCircinate retinopathy is a feature of Diabetic Retinopathy. It is a feature of diabetic macular edema.Circinate retinoiathy a condition markedby a circle ofwhite spotsenclosing the macular area,leading to complete foveal blindness.